All occurs in botulism except -
1. Diplopia
2. Diarrhoea
3. Dysphagia
4. Dysarthria

Correct answer: 2. Diarrhoea